Palato-print is commonly taken from which part of palate:
1. Anterior part
2. Lateral wall
3. Medial wall
4. Posterior part

Correct answer: 1. Anterior part

Explanation: Palatoscopy/palato-print/rugoscopy: Study of palatal printsQ. Principle: The anterior part of palateQ (hard palate) contains rugaeQ, which are individual specific & permanent. Palatine rugae are unique and can be used for identification. It is used in cases of advanced decomposition, trauma & burnt bodies.